Painful Pseudoparalysis in an infant is suggestive of:
1. Vit A deficiency
2. Vit B6 deficiency
3. Vit E deficiency
4. Vit C deficiency

Correct answer: 4. Vit C deficiency

Explanation: Pseudoparalysis Definition A voluntary restriction of motion, mainly because of pain, but not due to actual muscular paralysis Causes Scurvy Osteomyelitis Surgery Congenital syphilis